Delusion that someone from high socio economic status is loving you is in :
1. Othello syndrome
2. Capgras syndrome
3. De Clerambault syndrome
4. Franklin syndrome

Correct answer: 3. De Clerambault syndrome

Explanation: C i.e. De clerambault Syndrome